True about ASHA -
1. Male
2. Resident of village
3. 35-55 years age
4. Literate upto class five

Correct answer: 2. Resident of village

Explanation: Ans. is 'b' i.e., Resident of Village o ASHA must primarily be a woman resident of the village - married/ widowed/ divorced, preferably in the age group of 25 to 45 years.o She should be a literate woman with formal education up to class ten. This may be relaxed only if no suitable person with this qualification is available.